Lord's and Jaboulay's operation is done for-
1. Rectal prolapse
2. Fistula in ano
3. Inguinal hernia
4. Hydrocele

Correct answer: 4. Hydrocele

Explanation: Ans. is 'd' i.e., Hydrocele